Third-generation cephalosporins include all of the following EXCEPT :
1. Ceftizoxime
2. Cefoperazone
3. Cefoxitin
4. Cefixime

Correct answer: 3. Cefoxitin